A soft contact lens is made up of –
1. PMMA
2. HEMA
3. Glass
4. Silicone

Correct answer: 2. HEMA

Explanation: Soft contact lenses are made up of hydroxymethylemthacrylate (HEMA).